Molten wax appearance is seen in
1. Achondroplasia
2. Pseudogout
3. Melorheostosis
4. Osteopetrosis

Correct answer: 3. Melorheostosis

Explanation: Motten wax or Flowing candle wax appearance feature of Melorheostosis.